Prozone phenomenon is seen with?
1. Same concentration of antibody and antigen
2. In antigen excess to antibody
3. Antibody excess to antigen
4. Hyperimmune reaction

Correct answer: 3. Antibody excess to antigen

Explanation: . Ans. is 'c' i.e., Antibody excess to antigen